A composite index combining indicators representing longevity, knowledge and income is
1. Physical quality of life index
2. Human development index
3. Sullivan's index
4. Human poverty index

Correct answer: 2. Human development index